Which one of the following is a thermally dimorphic fungus? (Repeat)
1. Histoplasma capsulatum
2. Candida albicans
3. Aspergillus fumigatus
4. Pneumocystis carinii

Correct answer: 1. Histoplasma capsulatum

Explanation: Ans-A Candida albicans is a non-thermal dimorphic fungus Ref: Ananthanarayan, Paniker CJ. Textbook of Microbiology. 6th Ed. London: John Wiley & Sons: 2000. Explanation: Dimorphic Fungi Can exist as both multicellular fungi (molds) and yeasts Dimorphism in pathogenic fungi typically depends on temperature: o At 37degC: Yeast form o At 25degC: Mold form. A Thermally Dimorphic are Six in number - a.Systemic dimorphic fungi Histoplasma capsulatum Blastomyces dermatitidis Coccidiodes immitis Paracoceidiodes brasiliensis b.Subcutaneous dimorphic fungi Sporothrix schenkii c. Opportunistic dimorphic fungi Penicilliosis marneffei B Non-thermally Dimorphic fungus- 1. Candida albicans